Posterior belly of digastric is supplied by:
1. Mandibular nerve
2. Hypoglossal nerve
3. Accessory nerve
4. Facial nerve

Correct answer: 4. Facial nerve